True regarding double blinding placebo controlled clinical trial:
1. Some patients are not treated
2. The clinician does not know which treatment is given to the patient
3. 50% of the patients do not know what drug they receive
4. Everybody receives both the drugs

Correct answer: 2. The clinician does not know which treatment is given to the patient

Explanation: (Refer: K. Park’s Textbook of Preventive and Social medicine, 24th edition, pg no: 78)
Bias

Any systematic error in an epidemiological study occurring during data collection, compilation, analysis and interpretation
Types of bias